Galactorrhoea due to ectopic prolactin is seen in  a) Malignant thymoma  b) Bronchogenic carcinoma  c) Medullary carcinoma thyroid  d) Hypemephroma
1. abc
2. bd
3. bcd
4. cd

Correct answer: 2. bd